Drug treatment of schizophrenia are -a) Chlordiazepoxideb) Trifluperazinec) Clozapined) Rivastigminee) Haloperidol
1. ab
2. bc
3. acd
4. bce

Correct answer: 4. bce

Explanation: Drugs used for schizophrenia 

Typical antipsychotics :- Phenothiazines (chlorpromazine, thioridazine, trifluperazine, fluphenazine); thioxanthenes (thiothixene, flupenthixole); Butyrophenones (Haloperidol, trifluperidol, penfluridol); other heterocyclics (Pimozide, Loxapine, Sulpiride).
Atypical antipsychotics :- Clozapine, Olanzapine, Aripiprazole, Risperidon, Quetiapine, Ziprazidone.